Anterior Spinal artery is a branch of ?
1. Internal Carotid artery
2. Basilar artery
3. Vertebral artery
4. Labyrinthine artery

Correct answer: 3. Vertebral artery

Explanation: C i.e. Vertebral artery